Newborn baby with scaphoid abdomen and respiratory difficulty. Which among the following is the most probable condition
1. Intestinal agenesis
2. Intestinal obstruction
3. Congenital diaphragmatic hernia
4. All of these

Correct answer: 3. Congenital diaphragmatic hernia

Explanation: Ans: c (Congenital diaphragmatic hernia) Ref: Nelson, 17th ed, p. 1354 & OP Ghai, 6th, ed,p. 168Diaphargmatic hernia should be suspected in any neonates who have severe respiratory distress and has a scaphoid abdomenCONGENITAL DIAPHRAGMATIC HERNIARetrosternal hernia (Morgagni hernia)* This hernia is situated anteriorly in the retrosternal area and occurs through the space between xiphoid and costal origin of diaphragm or foramen of Morgagni or space of Larrey* It is more common on right sideBochdalek hernia* It is situated posteriorly* It is more common on the left side* It is the commonest congenital hernia